Which is not a branch of anterior division of internal iliac artery ?
1. Inferior vesical
2. Internal pudendal
3. Iliolumbar
4. Inferior gluteal

Correct answer: 3. Iliolumbar

Explanation: Branches of anterior division of internal iliac artery are :(i) Superior vesical(ii) Middle rectal(iii) Inferior vesical (in males),(iv) Internal pudendal, (v) Vaginal (in females),(vi) Uterine (in females)(vii) Obturator(viii) Inferior gluteal.Branches of posterior division are : (i) Iliolumbar, (ii) Lateral sacral, and (iii) Superior gluteal.